Which of the following is NOT a cause of stress related mucosal injury?
1. Head injury
2. Haemophilus pylori
3. Severe burns
4. Sepsis

Correct answer: 2. Haemophilus pylori

Explanation: Patients suffering from shock, sepsis, massive burns, severe trauma, or head injury develop acute erosive gastric mucosal changes or frank ulceration with bleeding. It is classified as stress-induced gastritis or ulcers. fThe injury is most commonly observed in the acid-producing (fundus and body) portions of the stomach. The most common presentation is GI bleeding, which is usually minimal but can occasionally be life threatening. Stress injury does not cause inflammation or H. pylori. Although elevated gastric acid secretion may be noted in patients with stress ulceration after head trauma (Cushing's ulcer) and severe burns (Curling's ulcer), mucosal ischemia and breakdown of the normal protective barriers of the stomach also play an important role in the pathogenesis. Ref: Valle J.D. (2012). Chapter 293. Peptic Ulcer Disease and Related Disorders. In D.L. Longo, A.S. Fauci, D.L. Kasper, S.L. Hauser, J.L. Jameson, J. Loscalzo (Eds), Harrison's Principles of Internal Medicine, 18e.